Development of face occurs in the following planes:
1. Transverse, sagittal, vertical
2. Transverse, vertical, sagittal
3. Sagittal, vertical, transverse
4. Vertical, transverse, sagittal

Correct answer: 1. Transverse, sagittal, vertical